'Vision 2020-Right to sight' aims to:
1. Give spectacles to all refractive error patients by 2020
2. Give IOL to all cataract patients by 2020
3. Eliminate avoidable blindness by 2020
4. None of the above

Correct answer: 3. Eliminate avoidable blindness by 2020

Explanation: Vision 2020- The Right to Slight : A global initiative by WHO and International NGOs to eliminate avoidable (preventable and curable) blindness by 2020. Global Vision 2020 (5 diseases) Indian Vision 2020 (7 diseases) Cataract Refractive errors and low vision Childhood blindness Trachoma Onchocerciasis Cataract Refractive errors and low vision Childhood blindness Trachoma Glaucoma Diabetic retinopathy Corneal blindness